Which is true about Type-2 muscle fibres?
1. Increased myoglobin
2. It is slower, oxidative and red
3. Increased Isoenzyme ATPase activity
4. Glycolytic capacity moderate

Correct answer: 3. Increased Isoenzyme ATPase activity

Explanation: Type II muscle fibres are seen in fast muscles. My globin content is low and hence called white muscles. It has increased isoenzyme activity(REF: TEXTBOOK OF MEDICAL PHYSIOLOGY GEETHA N 2 EDITION, PAGE NO - 44)